Management of typical febrile seizures include all the following except:
1. Tepid sponging
2. Paracetamol and ibuprofen
3. Intermittent diazepam
4. Prophylactic phenobarbitone.

Correct answer: 4. Prophylactic phenobarbitone.

Explanation: Ref: Current paediatrics diagnosis and treatment 18th/722,726 Prohylactic phenobarbitone is indicated for atypical febrile seizures only.